A 45 year old female patient presents with symptoms of easy bruisabilty and frequent headaches. Physical examination shows moderate splenomegaly. Blood counts show a normal leucocyte count and platelet count of 1000 × 103/cu mm. The leukocyte alkaline phosphatase score is normal. Which of the following is the drug of choice for the treatment of this patient?
1. Hydroxy urea
2. Radioactive phosphorous
3. Anagrelide
4. Interferon alpha

Correct answer: 1. Hydroxy urea